Persistent feeling of guilt is seen in -
1. OCD
2. Depression
3. Mania
4. Schizophrenia

Correct answer: 2. Depression

Explanation: Ans. is -b' i.e., Depression o Excessive guilt is a diagnostic symptom of depression.o For the diagnosis of minor depression 2-4 and for major depression > 5 DSM IV symptoms are required for at least for a two week period.Diagnostic criteria for major depressiono 5 or more of following symptoms should be present most of the day for at least 2 weeks: -Depressed moodLoss of interest or pleasure in all activities.Decrease/increase appetite or loss/gain of w eight.Insomnia or hypersomnia (Increased or decreased sleep).Psychomotor retardation or agitation (decreased or increased psychomotor activity).Fatigue or loss of energy (weakness or lethargy).Feelings of worthlessness or excessive guilt.Diminished concentrationRecurrent thoughts of death or recurrent suicidal ideation or suicidal attempt.o At least one of symptoms should be either(1) Depressed mood or (2) Loss of interest or pleasure - These two (1 & 2) are essential criteria. Therefore1. essential criterion and 4 other criteria (total 5) should be persent.